Which of the following is a cause of bronchiectasis?
1. Pneumonia
2. Primary TB
3. Inhaled foreign body
4. All of the above

Correct answer: 4. All of the above